Aldose reductase inhibitor drugs are useful in?
1. Cataract
2. Diabetes mellitus
3. Hereditary' fructose intolerance
4. Essential fructosuria

Correct answer: 2. Diabetes mellitus

Explanation: Ans. is 'b' i.e.. Diabetes mellitus o Aldose reductase catalyzes the NADPH-dependent conversion of glucose to sorbitol, the first step in polyol pathway of glucose metabolism.o Aldose reductase inhibitors are a class of drugs being studied as a way to prevent eye and nerve damage in people with diabetes mellitus.o Examples of aldose reductase inhibitors include:Tolrestat (withdrawn from market)A part l res tatRanirestatFidarestat